Normal body temperature of a neonate is:
1. 36.5degC to 37.5degC
2. 35.5degC to 36degC
3. 36.5degC to 37degC
4. 37.5degC to 38degC

Correct answer: 1. 36.5degC to 37.5degC

Explanation: Ans. A.36.5degCto37.5degCNormal body temperature of a neonate is 36.5degCto37.5degC. A neonate is said to be hypothermic if his axillary temperature is <36.5degC* Cold stress: 36.0-36.4degC* Moderate Hypothermia: 32-35.9degC* Severe Hypothermia: <32degC